Carbenoxolone sodium is used in peptic ulcer because it -
1. Systemic antacid
2. Orally used antacid
3. Promotes the ulcer healing
4. Defoaming agent

Correct answer: 3. Promotes the ulcer healing

Explanation: Ans. is 'c' i.e., It promotes the ulcer healing o Carbenoxolone promotes healing of gastric ulcer without altering the volume or acidity of gastric juice.